In traumatic injury of the hip -
1. Anterior dislocation is common
2. Posterior dislocation is common
3. Avascular fracture is common
4. Visceral injury usually associated with fracture femur

Correct answer: 2. Posterior dislocation is common

Explanation: Posterior dislocation is more common (not anterior dislocation).
Most of the time dislocation can be reduced by closed reduction.
Visceral injuries are usually associated with pelvic fracture (not femur fracture).